Which of the following hepatitis viruses is a DNA virus -
1. Hepatitis C virus
2. Hepatitis B virus
3. Delta agent
4. Hepatitis E virus

Correct answer: 2. Hepatitis B virus

Explanation: Hepatitis viruses are taxonomy unrelated, except for type B which is a DNA virus all the others are RNA viruses. REF:ANANTHANARAYAN AND PANIKER'S TEXTBOOK OF MICROBIOLOGY 9TH EDITION PAGE NO-540